Clomiphene citrate challenge test (CCCT) is used for
1. Assessing LH rise prior to ovulation
2. Used for accurate diagnosis of PCOS
3. Estimating the luteal phase defect
4. Method to asses the ovarian reserve of a woman

Correct answer: 4. Method to asses the ovarian reserve of a woman

Explanation: Clomiphene citrate challenge test : Used to asses the ovarian reserve of a woman On D3- Check serum FSH ON D5- D9 - Give 100mcg Clomiphene citrate (CC) On D10- Check serum FSH High FSH value on D3 which increases further on D10 : indicates poor reserve